A patient sustained blunt trauma to eye after that the developed sudden loss of vision with deep anterion chamber, Most likely causes is
1. Lens dislocation
2. Berlin's oedema
3. Retinal haemorrhage
4. Recession of angle of AC

Correct answer: 1. Lens dislocation

Explanation: A i.e. Lens dislocation